Ash leaf macules are characteristic of
1. Von Recklinghausen disease
2. Bournviller disease
3. Von Hipple -Lindau disease
4. Sturge - Weber syndrome

Correct answer: 2. Bournviller disease

Explanation: Ash leaf macules are hypopigmental off - white coloured macules 1 - 3 cm in zise.It is seen is tuberous sclerosis (also known as Bournville's disease).